Which of the following is NOT right regarding respiratory function during late trimester of normal pregnancy?
1. Tidal volume and resting minute ventilation increase during late trimester
2. Functional residual capacity and the residual volume are decreased
3. Lung compliance is decreased
4. Total pulmonary resistance reduced

Correct answer: 3. Lung compliance is decreased

Explanation: The respiratory rate is essentially unchanged, but tidal volume and resting minute ventilation increase significantly as pregnancy advances. The functional residual capacity and the residual volume are decreased as a consequence of the elevated diaphragm. Lung compliance is unaffected by pregnancy, but airway conductance is increased and total pulmonary resistance reduced, possibly as a result of progesterone. Ref: Cunningham F.G., Leveno K.J., Bloom S.L., Hauth J.C., Rouse D.J., Spong C.Y. (2010). Chapter 5. Maternal Physiology. In F.G. Cunningham, K.J. Leveno, S.L. Bloom, J.C. Hauth, D.J. Rouse, C.Y. Spong (Eds), Williams Obstetrics, 23e.